A woman is said to be having menorrhagia if the menstrual blood loss is more than :
1. 20 ml
2. 40 ml
3. 60 ml
4. 80 ml

Correct answer: 4. 80 ml

Explanation: 80 ml